Pasteurization of milk is achieved by boiling at -
1. 65 oC for 30 min
2. 72 oC for 10 sec
3. 100 oC for 20 sec
4. 136 oC for 30 sec

Correct answer: 1. 65 oC for 30 min

Explanation: In holder method milk is kept at 63-66 deg C for atleast 30 min.REF.PARK'S TEXTBOOK OF PREVENTIVE AND SOCIAL MEDICINE.Editon-21.Page no.-606